Vitamin B12 and folic acid supplementation in megaloblastic anemia leads to the improvement of anemia due to
1. Increased DNA synthesis in bone marrow
2. Increased hemoglobin production
3. Erythroid hyperplasia
4. Increased iron absorption

Correct answer: 1. Increased DNA synthesis in bone marrow

Explanation: Deficiency of folic acid Reduced DNA Synthesis because THF derivatives are involved in purine synthesis and thymidylate Synthesis Megaloblastic Anemia Vitamin B12 deficiency and Folate deficiency can lead to this condition In Vitamin B12 deficiency Megaloblastic anemia is due to folate trap ref DM Vasudevan 8th ed page 476